Which of the following is not a new drug for Migraine?
1. Lasmiditan
2. Ubrogepant
3. Rimegepant
4. Romosozumab

Correct answer: 4. Romosozumab

Explanation: Option 1 Lasmiditan Highly affinity for 5-HT1Freceptor agonist Acts on trigeminal system without causing vasoconstriction Low affinity for 5-HT1Breceptors Acute therapy for migraine in patients with cardiovascular risk factors Option 2 Ubrogepant Calcitonin gene related peptide (CGRP) receptor antagonist Acute treatment of migraine attacks Option 3 Rimegepant Only CGRP antagonists that possess oral bioavailability Acute treatment migraine headache Option 4 Romosozumab Sclerostin inhibitor Treatment of osteoporosis in postmenopausal women at high risk for fracture Monoclonal antibodies that antagonize the CGRP pathway are: Galcanezumab Eptinezumab Fremanezumab(which all target the CGRP peptide) Erenumab ( fully human mAb designed to target the CGRP receptor). =Standard migraine Rx involves "triptans", but these are C/I in patients with pre-existing cardiovascular disease due to their vasoconstrictive properties.